Stapes is derived from which branchial arch:
1. I
2. II
3. III
4. IV

Correct answer: 2. II

Explanation: Ans (b) IIRef: Inderbir Singh's Embroyology, 7th ed. 1119-120* Ear ossicles are derived from branchial arch I and II* Malleus and incus: BA-I* Stapes: BA- II